Duodenal blowout following Billroth's Gastrectomy MOST commonly occur on?
1. 2nd week
2. 4th week
3. 6th day
4. 12th day

Correct answer: 3. 6th day

Explanation: Duodenal blowout is massive leakage from the duodenal stump following Billroth II gastrectomy. It usually occur on the 2nd to 7th postoperative day and is usually presents as sudden intense thoracoabdominal pain, sudden elevation of pulse and temperature, and general deterioration of the condition of patient. Ref: Schwartz 7/e, Page 467; Bailey & Love 22/e, Page 689